The thickness of prismless enamel in deciduous teeth is:
1. 25 μm
2. 50 μm
3. 75 μm
4. 100 μm

Correct answer: 1. 25 μm

Explanation: A relatively structureless or prismless layer of enamel, approximately 30μm thick is present in 70% of permanent teeth and all deciduous teeth.